Venous blood of liver is drained by -
1. Portal vein
2. Hepatic artery
3. Sinusoids
4. Hepatic veins

Correct answer: 4. Hepatic veins

Explanation: Venous trainage is through hepatic veins into IVC.